Body temperature in Fahrenheit is an example of which of the following scales?
1. Nominal
2. Ordinal
3. Interval
4. Ratio

Correct answer: 3. Interval

Explanation: Metric scale is further divided into interval and ratio scales. In an interval scale, there is no absolute zero, such as in body temperature. A temperature of 105? F cannot be interpreted as 5% higher than 100? F. Ref: Medical biostatistics, 1st edition pg: 99